Homosexual men with AIDS are most likely to exhibit-
1. Antibodies to HLV- II
2. Pneumocystitis carini penumoniae
3. Elevation of inducer/helper T cells
4. All of the above

Correct answer: 2. Pneumocystitis carini penumoniae